Which of the following is not an X-linked condition
1. Duchne muscular dystrophy
2. B. Emery dreifuss muscular dystrophy
3. C. Fascioscapululohumeral muscular dystrophy
4. Becker muscular dystrophy

Correct answer: 3. C. Fascioscapululohumeral muscular dystrophy

Explanation: Fasioscapulohumeral muscular dystrophy is an autosomal dominant disorder characterized by facial weakness and scapular winging Slowly progressive weakness of face, shoulder girdle and foot dorsiflexion